The following increases Intra Ocular pressure:
1. Thiopentone
2. Althesin
3. Ketamine
4. Barbiturate

Correct answer: 3. Ketamine

Explanation: Ketamine